What is %age of burn in which burn surface area is equal to palmar surface?
1. 2%
2. 9%
3. 18%
4. 1%

Correct answer: 4. 1%

Explanation: The overall survivability of burn injury is contingent not only on type of burn, but on how much of the skin surface is involved. The rule of nine was developed to assist EMS in relying to the receiving facility how much of the body % is involved in the burn injury. There are eleven body areas. Each of which contain approximately nine percent of body's overall area. They are: Head and neck 9% Chest 9% Abdomen 9% Front of each leg 9*2 = 18% Back of each leg 9*2=18% Arms 9*2=18% Upper back 9% Lower back 9% These body area add up to 99%; the genitalia comprises the remaining 1%. The outstretched palm and fingers approximates to 1% of the body surface area. If the burned area is small, assess how many times your hand cover the burned area and that will give you the total %age of the burned body suface area. Ref: Kaplan's Basic- Exam, 3/e, Page 122 ; The Clinical Use Of Blood ; In Medicine, Obstetric and Pediatric surgery & anaesthesia , trauma and burns; By jean C. Emmanuel, section 14.2